The neuromuscular blocker that can cross the placenta is:
1. D-tubocurarine
2. Succinylcholine
3. Gallamine
4. Pancuronium

Correct answer: 3. Gallamine

Explanation: D-tubocurarine, succinylcholine and pancuronium do not cross the placental barrier and can be employed in obstetric practice. However, gallamine can cross the placental barrier and should not be used in obstetric practice.